Cause of Failure to thrive include (s):
1. Malabsorption
2. Child abuse
3. GFRD
4. All

Correct answer: 4. All

Explanation: Ans is 'a' i.e., Malabsorption; 'b' i.e., Child abuse;'c' i.e., GERD Failure to thrive o Failure to thrive refers to children whose current weight or rate of weight gain is significantly lower than that of other children of similar age and gender. Cause of failure to thrive A) Organic causes o Gastrointestinal :-gastroesphageal reflux, malabsorption, inflammatory bowel disease, pyloric stenosis. o Neurological :-intellectual disability, cerebral palsy o Renal :-renal tubular acidosis, chronic renal failure o Cardiopulmonary :-congential heart disease, cystic fibrosis, asthma. o Endocrine :-Hypothyroidism, diabetes mellitus, adrenal insufficiency o Infection :-chronic parasitic or bacterial infections of gastrointestinal tract, tuberculosis, infection with human immunodeficiency virus. Genetic :-Inborn errors of metabolism, chromosomal anomalies Miscellaneous :-Lead poisoning, malignancy, collagen vascular disease B) Non-organic causes Poverty o Misperceptions or lack of knowledge about diet and feeding practices Lack of breastfeeding, feeding diluted formulae o Dysfunctional parent-child relationship with child abuse and neglect. Clinical features o Children that fail to thrive seem to be much smaller or shorter than other children of the same age. Teenagers may not appear to have the usual changes that occur at puberty. Symptoms of failure to thrive include: (i) Height, weight, and head circumference do not match standard growth charts. (ii) Weight is lower than 3rd percentile (as outlined in standard growth charts) or 20% below the ideal weight for their height. (iii) Growth may have slowed or stopped after a previously established growth curve. o In general, the child's rate of change in weight and height may be more important than the actual growth measurements. o Children who fail to thrive may have the following delayed or slow to develop: Physical skills such as rolling over, sitting, standing and walking Mental and social skills Secondary sexual characteristics (delayed in adolescents) o Other symptoms that may be seen in child that fails to thrive include: Constipation Excessive crying Excessive sleepiness (lethargy) Irritability